Which of the following is least likely to cause constrictive pericarditis
1. Tuberculous pericardial effusion
2. Staphylococcal effusion
3. Post cardiac surgery
4. Acute rheumatic fever

Correct answer: 4. Acute rheumatic fever

Explanation: Causes of constrictive pericarditis include: Tuberculosis Incomplete drainage of purulent pericarditis Fungal and parasitic infections Chronic pericarditis Postviral pericarditis Postsurgical, streptococcal effusion Following MI, post-myocardial infarction In association with pulmonary asbestos Ref Harrison 20th edition pg 1456 Ref Davidson 23rd edition pg 463